The objective of National Rural Health Mission (NRHM) is all except:
1. Implementation of JSY
2. Requirement of ASHA
3. Formulation of state and district health programme
4. Formulation of family planning and welfare societies

Correct answer: 4. Formulation of family planning and welfare societies

Explanation: Formulation of family planning and welfare societies